Part of brain involved in narcolepsy
1. Neocortex
2. Hypothalamus
3. Cerebellum
4. Putamen

Correct answer: 2. Hypothalamus

Explanation: Harrison's principles of internal medicine 17th edition *Recently several convergent lines of evidence suggest that hypothalamic neuropeptide hypocretin(orexin) is involved in the pathogenesis of narcolepsy.